Digestive enzymes are -
1. Hydrolases
2. Oxidoreductases
3. Dehydrogenases
4. Ligases

Correct answer: 1. Hydrolases

Explanation: Ans. is 'a' i.e., Hydrolases {Ref: Harper's 29th/ep. 518-19]o All digestive enzymes are hydrolases.